The best guide to adequate tissue perfusion in the fluid management of a patient with burns, is to ensure a minimum hourly urine output of
1. 10 -15 ml
2. 15 - 30 ml
3. 30 - 50 ml
4. 50 - 80 ml

Correct answer: 3. 30 - 50 ml

Explanation: 0.5 - 1 ml / kg / hour is the urine output maintained in burns.